Most common type of pathogenic bacteria grow in temperatures
1. 25 to 40 degrees centigrade
2. -20 degrees
3. 0 to 20 degrees
4. Above 50 degrees

Correct answer: 1. 25 to 40 degrees centigrade

Explanation: Mesophiles grow in between 25 to 40 They are the most common type of bacteria Organisms that prefer extreme environments are known as extremophiles. Ref: CP Baveja 4th ed Pg: 6